True about madura mycetoma -
1. Fungal infection
2. Presented as non-painful nodular lesion for many months
3. Discharging sinus
4. All

Correct answer: 4. All

Explanation: Ans. is 'a' i.e., Fungal infection; 'b' i.e., Presented as non painful nodular lesion for many months; `c' i.e., Discharge sinus . Madura mycetoma may be caused by a number of actinomycetes and filamentous fungi. . Presents as painless swelling with multiple discharging sinuses. . The infection runs a relentless course over many years, with destruction of contiguous bone and fascia.